Most common manifestation of increased intracranial pressure in a patient with head injury:
1. Change in the level of consciousness
2. Ipsilateral pupillary dilatation
3. Retching and vomiting
4. Bradycardia

Correct answer: 1. Change in the level of consciousness

Explanation: Ans. Change in the level of consciousness